Codman's triangle is a feature of -
1. Osteosarcoma
2. Osteochondroma
3. Osteoid osteoma
4. Chondrosarcoma

Correct answer: 1. Osteosarcoma

Explanation: A Codman triangle develops when a portion of periosteum is lifted off of the cortex by tumor, pus, or hemorrhage at a leading edge . This aggressive form of periosteal reaction is commonly seen in osteosarcomas and occasionally with infection and metastases.